While managing a mass disaster, the term "Triage" applies to -
1. It is the principle of "first come, first treated"
2. It is the classification of the injured on the basis of severity of injuries, with the concept of treating the most seriously injured first
3. It is the classification of the injured on the basis of severity of injuries, with the concept of treating the children and adoslecents first
4. It is the classification of the injured on the basis of severity of injuries, with the concept of treating those first who are likely to survive with medical intervention

Correct answer: 4. It is the classification of the injured on the basis of severity of injuries, with the concept of treating those first who are likely to survive with medical intervention

Explanation: Triage is an important part of disaster management. Triage consist of rapidly classifying the injured on the basis of severity of their injuries and the likelihood of their survival with prompt medical intervention. Park's Textbook of Preventive and Social Medicine, 25th Edition, Pg 857